Steroids are used in all of the following conditions except
1. Chronic lymphoid leukemia
2. Hodgkin's lymphoma
3. Multiple myeloma
4. Kaposi sarcoma

Correct answer: 4. Kaposi sarcoma

Explanation: Refer Harrinson 19th/1269 Steroids are used in CLL Hodgkin lymphoma Multiple myeloma However these should be avoided in Kaposi sarcoma